Which is the medium used for Vibrio cholerae?
1. Thayer—Martin medium
2. TCBS medium
3. Scirrow’s medium
4. Loeffler’s medium

Correct answer: 2. TCBS medium